Genital infection in females presenting with thick curdy or flaky discharge may be:
1. Candidiasis
2. Trichomoniasis
3. Syphilis
4. Gonorrhoea

Correct answer: 1. Candidiasis

Explanation: Ans. A i.e. Candidiasis